True stereopsis is perceived due to the following:
1. Overlay of contours
2. Motion parallax
3. Bi- nasal disparity
4. Linear perspective

Correct answer: 3. Bi- nasal disparity

Explanation: C i.e. Binasal disparity